Octreotide is used in all except
1. >Insulinoma
2. >Glucagonoma
3. >Glioma
4. >Carcinoids

Correct answer: 3. >Glioma

Explanation: Glioma Octreotide is a synthetic analogue of somatostatin and its pharmacological actions are similar to somatostatin. Somatostatin Somatostatin is a hypothalamic peptide that regulates the function of several endocrine and exocrine glands. Somatostatin acts primarily as a negative regulator of a variety of different types of cells blocking processes such as cell secretion, cell growth and smooth muscle contraction. It is secreted from the hypothalamus into the portal circulation and travels to the anterior pituitary gland where it inhibits the production and release of both growth hormone and thyroid stimulating hormone. Somatostatin is present in many tissues other than hypothalamus It is also secreted by the cells in the pancreas and in the intestine where it inhibits the secretion of variety of hormones